Latex agglutination test of the antigen in CSF helps in the diagnosis of:
1. Cryptococcus
2. Candidiasis
3. Aspergillosis
4. Histoplasmosis

Correct answer: 1. Cryptococcus

Explanation: Ans. (a) Cryptococcus Ref. Harrison 16/e, p 1184, 18/e, p 1650; 19/e,p 1340, CMDT '2014 p 1485 "90% of patient with cryptococcal meningoencephalitis have capsular antigen detectable in CSF or serum by latex agglutination." Diagnosis of cryptococcal disease Meningoencep Pulmonary Cryptococcus Cutaneous Cryptococcus Lumbar puncture is most useful test Mimics malignancy Biopsy India ink smear of CSF reveals encapsulated yeast in more than half of cases Biopsy is required for diagnosis 90% of patient have capsular antigen detectable in CSF by latex agglutination CSF culture is definitive diagnostic test Note: MRI is more sensitive than CT in finding central nervous system cryptococcomas.